Cerebellar shape in fetus with spina bifida before 24 weeks of gestation mimics which of the following?
1. Banana
2. Orange
3. Swiss cheese
4. Pea

Correct answer: 1. Banana

Explanation: Answer- A. BananaIn majority ofcases ofspina bifida, the cerebellum is either not detectable sonographically or has a banana shaped appearance.